Tevdek sutures used in endodontics microsurgeries should not be left:
1. Longer than 48 hours
2. Longer than 72 hours
3. Longer than 24 hours
4. Longer than 96 hours

Correct answer: 4. Longer than 96 hours

Explanation: Over recent years, suture material choice has moved from black silk to Tevdek braided polyester or monofilament polypropylene sutures such as Protene.
Post-operative Management:
Sufficient healing have occurred after 48 hours for suture removal; however, it should not be left longer than 96 hours due to 'wicking effect' that may cause post-operative infection of the surgical site.